DOTS chemotherapy is given for -
1. TB
2. Leprosy
3. AIDS
4. Tetanus

Correct answer: 1. TB

Explanation: Ans. is 'a' i.e., TB Directly observed treatment short course (DOTS) In the Revised National Tuberculosis Control Programme (RNTCP), patients are provided short course chemotherapy as DOTS. o All patients are provided short-course chemotherapy free of charge. o During the intensive phase of treatment a health worker watches as the patient swallows the drug in his presence. o During continuation phase, the patient is issued medicine for one week in a multiblister combipack of which the first dose is swallowed by the patient in the presence of health worker. o The consumption of medicine in the continuation phase is also checked by return of empty multiblister combipack when the patient comes to collect medicine for the next week. In this programme, alternate day treatment is given. o Under RNTCP, active case finding is no longer pursued. Case finding is passive. Patients presenting themselves with symptoms suspicious of tuberculosis are treated with DOTS therapy. o The colour of boxes (containing the drugs for full course of treatment) is according to the category of regimen : - i) Category I patients ---> Red Category II patients --> Blue iii) Category III patients --> Green